Metabolic change seen in starvation are all except
1. Increased gluconeogenesis
2. Increased glycolysis
3. Ketogenesis
4. Protein degradation

Correct answer: 2. Increased glycolysis

Explanation: In starvation, the dietary supply of glucose is decreased. Available oxaloacetate is channeled to gluconeogenesis. The increased rate of lipolysis is to provide alternate source of fuel. The excess acetyl CoA is converted to ketone bodies. The high glucagon level favors ketogenesis. The brain derives 60-75% of energy from ketone bodies under conditions of prolonged starvation. Hyperemesis (vomiting) in early pregnancy may also lead to starvation-like condition and may lead to ketosis.Ref: DM Vasudevan, 7th edition, page no: 165